Best indicator of availability, utilisation & effectiveness of health services-
1. IMR
2. MMR
3. Hospital bed OCR
4. DALY

Correct answer: 1. IMR

Explanation: Park's textbook of preventive and social medicine 23rd edition. *IMR is universally regarded not only as an important indicator of health status of a community but also the level of living of people in general and effectiveness of MCH services in particular.